Which antigen of rabies virus stimulates antibody production ?
1. Lipoprotein
2. Glycoprotein
3. Phosphoprotein
4. Intranuclear protein

Correct answer: 2. Glycoprotein

Explanation: Ans. is 'B' i.e., GlycoproteinThere are following antigenic structures in rabies virus :?1) Glycoprotein G (on surface spikes)It is important in virulence, pathogenesis and immunity.It is serotype specific.It induces protective antibodies(D""), mediates binding of virus to Ach receptors and stimulates cytotoxic T-cells.2) Nucleocapsid proteinIt is group specific and antibodies against it are not protective.3) Other antigensThese are two membrane proteins, glycolipid, and RNA dependent RNA polymerase.